Mid day meal programme was first launched in:
1. West Bengal
2. Tamil Nadu
3. Gujrat
4. Delhi

Correct answer: 2. Tamil Nadu

Explanation: Mid.day meal programme was introduced in a large scale in 1960s under the chief ministership of K. Kamraj Nadar in Tamil Nadu. Ref: National Health Programmes in India, J.Kishore, 10th edition pg: 453